True about Atherosclerosis
1. Seen in patients above 40 years of age
2. Most Common in 6th or 7th decade
3. Causes occlusion of large and medium sized vessels
4. All of the above

Correct answer: 4. All of the above